Earliest sign in X-ray in TB spine-
1. Paravertebral shadow
2. Narrowing of disc space
3. Gibbus
4. None of the above

Correct answer: 2. Narrowing of disc space

Explanation: Ans- B Narrowing of disc space First clinical sign of TB Spine = Paraspinal muscle spasm First clinical sign of Pott paraplegia = Ankle Clonus > Extensor Plantar > Spasticity First X-ray Sign of Pott spine = Reduction of disc space End result of Pott spine = bony ankylosis Loss of Spinal curvature is a non specific X-ray finding which can happen even after prolonged sitting.